Which of the following is a procoagulation protein ?
1. Thrombomodulin
2. Protein C
3. Protein S
4. Thrombin

Correct answer: 4. Thrombin

Explanation: Ans. is 'd' i.e., Thrombin Coagulation Cascade o Coagulation cascade is a series of enzymatic conversions, turning inactive proenzymes into activated enzymes and culminating the formation of thrombin. o Thrombin then converts the soluble protein fibrinogen precursor into insoluble fibrous protein fibrin. o The blood coagulation pathway are divided into. 1.Extrinsic --> Activated by tissue factor. 2.Intrinsic --> Activated by factor XII (Hagmen factor). o In vivo coagulation is predominantly occurs extrinsic pathway. o Clotting is regulated by three types of natural anticoagulants. Antithrombin III --> Binds to heparin like molecule on endothelial surface and this complex inhibit factor II (thrombin), IX, X, XI, XIL Protein 'C' & 'S' --> These are Vit K dependent proteins. Thrombomodulin bind to thrombin and this complex activates protein 'C', which then, with the help of protein `S' as a cofactor, inactivates factor V & VIII. Tissue factor pathway --> Secreted by endothelium and inactivates tissue factor VII & factor X. inhibitor ( TFPI)